Subarachnoid block as anaesthesia is contraindicated in
1. Haemophilia
2. Burgers disease
3. Atherosclerotic gangrene
4. Full stomach

Correct answer: 1. Haemophilia

Explanation: Worried about epidural hematoma